What is not true about use of intranasal steroids in nasal polyposis?
1. Reduce recurrence
2. Reduce obstruction
3. Effective in eosinophilically predominant polyp only
4. May cause epistaxis

Correct answer: 3. Effective in eosinophilically predominant polyp only

Explanation: Ans. is 'c' i.e., Effective in eosinophilically predominant polyp only Intranasal steroids have been used extensively as first-line management of nasal polyposis with few side effects Usually, patients with small polyps and limited involvement on CT scan are good candidates for topical therapy alone. Intranasal steroids reduce nasal obstruction, polyp size, drainage and polyp recurrence. The effect of steroids seems to be nonspecific, improving symptoms in both eosinophilically and noneosinophilically dominated polyps. Nasal bleeding is the most common adverse event and can usually be minimized by directing the medication away from nasal septum.